Which is not true about Yellow fever
1. Exotic
2. Incubation period 2-6 days
3. Live Attenuated 17 D strain vaccine
4. Validity of vaccine 6 years

Correct answer: 4. Validity of vaccine 6 years